Essential radiological feature of acute mastoiditis is -
1. Temporal bone pneumatisation
2. Clouding of air cells of mastoid
3. Rarefaction of petrous
4. Thickening of temporal bone

Correct answer: 2. Clouding of air cells of mastoid